Control of TB and leprosy is by:
1. Isolation of cases
2. Specific protection
3. Early diagnosis and treatment
4. Elimination of reservoirs

Correct answer: 3. Early diagnosis and treatment

Explanation: Ans: cRef: Park, 17th ed, p. 97 & 18th ed, p. 101